Shy dragger syndrome is Parkinsonism + ----?
1. Sensory Neuropathy
2. Motor Neuropathy
3. Cerebellar Ataxia
4. Autonomic Neuropathy

Correct answer: 4. Autonomic Neuropathy

Explanation: Ans. D. Autonomic NeuropathyMultisystem Atrophy (Shy Dragger Syndrome)The features are as follows:a. Parkinsonismb. Autonomic neuropathyc. Cerebellar ataxia (due to olivo ponto cerebellar atrophy)d. Additional feature which may be there are - Dystonia, Myoclonus, Emotional incontinence, Sleep deprivation.e. Pathology: There is presence of alpha Synuclein positive inclusion located in the various part of the brain.f. Treatment: Droxidopa is a synthetic amino acid precursor which acts as a prodrug to the neurotransmitters norepinephrine (noradrenaline) and epinephrine (adrenaline). Unlike norepinephrine and epinephrine themselves, droxidopa is capable of crossing the protective blood-brain barrier (BBB)